Incubation period of salmonella in food poisoning
1. 1-6 hours
2. 12-24 hours
3. 1-2 days
4. 6-12 hours

Correct answer: 2. 12-24 hours